All of the following are associated with cardiac looping, EXCEPT ?
1. Lefty
2. PITX2
3. HAND1
4. None of the above

Correct answer: 4. None of the above

Explanation: Cardiac looping is dependent in part upon the laterality-inducing genes nodal and left. These genes induce expression of the transcription factor PITX2 in lateral plate mesoderm on the left side and later in mesoderm on the left side the heart. PITX2 may play a role in the deposition and function of extracellular matrix molecules during looping. In addition, NKX2.5 upregulates expression of HAND1 and HAND2, transcription factors that are expressed in the primitive heart tube and that later become restricted to the future left and right ventriclesRef: LANGMAN'S EMBRYOLOGY 11TH ED Chapter 12.